Most common site for carbuncle is
1. Forearm
2. Forehead
3. Nape of neck
4. Calf

Correct answer: 3. Nape of neck

Explanation: Ans. c (Nape of neck). (Ref LB, 25th /1305)Carbuncle is subcutaneous tissue infection, mostly caused by staphylococci and gas producing organisms in patients with diabetes with nape of neck being classical site for it. Calf is affected mostly in Bazin's disease.